Weight of abortus is -
1. 700-900 gms
2. 1-1.2 kg
3. <500 gms
4. 500-750 gms

Correct answer: 3. <500 gms

Explanation: Ans. is 'c' i.e., <500 gms * The National Center for Health Statistics defines an "abortus" as " fetus or embryo removed or expelled from the uterus during the first half of gestation--20 weeks or less, or in the absence of accurate dating criteria, born weighing < 500 g."